The palatine tonsil receives its arterial supply from all of the following, except:
1. Facial
2. Ascending palatine
3. Sphenopalatine
4. Dorsal lingual

Correct answer: 3. Sphenopalatine

Explanation: (c) Sphenopalatine(Ref. Chaurasia, 6th ed., Vol 3; 230)The Sphenopalatine artery which is a branch of maxillary does not supply the tonsil. It is the main artery supplying the nose and is called the artery of epistaxis.The rest arteries supply the tonsil.